True about pelvic abscess
1. Uncommon cause of intraperitoneal abscess
2. Identified by CT if there is a full bladder
3. Associated with pyothorax
4. May spontaneously drain via rectum

Correct answer: 4. May spontaneously drain via rectum

Explanation: Ans. (d) May spontaneously drain via rectumRef: Sabiston I9th edition Page 1312* Pelvic abscess is the mc site of abscess formation in sitting position.* Rutherford Morrison pouch is the mc site of abscess formation in lying position.* Pelvic abscess is drained via rectum.* Pelvic abscess is associated with diverticulitis.* Pelvic abscess is identified after emptying the bladder in USG and CECT abdomen much clearly.